Which of the following result is provided by northern blot analysis?
1. Detects specific base pairs
2. Detects DNA molecules
3. Determines chromosome structure
4. Detects RNA molecules

Correct answer: 4. Detects RNA molecules

Explanation: Northern blotting allows researchers to determine the level of production (and, therefore, control of expression) of a particular mRNA by quantitative determination of the relative amount of that particular mRNA relative to total mRNA. Northern blotting is analogous to Southern blotting, a technique that was first described by Edward Southern. DNA fragments are separated on agarose gels by electrophoresis and then trans- ferred to nitrocellulose filters. The filters are then exposed to labeled probes, which hybridize to the DNA fragments. The use of northern blotting for the quantitation of mRNA abundance has been mainly replaced to a great extent by quantitative reverse-transcription polymerase chain reaction (RT-PCR) (described below), which is much more sensitive and reliable. Also Know: Western blotting is a biochemical technique, adapted from a similar technique for DNA of Southern blotting, for detection and identification of specific proteins. Ref: Janson L.W., Tischler M.E. (2012). Appendix II. Biochemical Methods. In L.W. Janson, M.E. Tischler (Eds), The Big Picture: Medical Biochemistry.